Enzyme responsible for complete oxidation of glucose to C02 to water is present in which of the following structure?
1. Cytosol
2. Mitochondria
3. Lysosomes
4. Endoplasmic reticulum

Correct answer: 2. Mitochondria

Explanation: Glycolysis, the major pathway for glucose metabolism, occurs in the cytosol of all cells. However, oxidization of glucose beyond pyruvate (the end product of glycolysis) requires both oxygen and mitochondrial enzyme systems: the pyruvate dehydrogenase complex, the citric acid cycle, and the respiratory chain. Ref: Bender D.A., Mayes P.A. (2011). Chapter 18. Glycolysis & the Oxidation of Pyruvate. In D.A. Bender, K.M. Botham, P.A. Weil, P.J. Kennelly, R.K. Murray, V.W. Rodwell (Eds), Harper's Illustrated Biochemistry, 29e.